Irradiation can be used to sterilize A/E ?
1. Bone graft
2. Suture
3. Artificial tissue graft
4. Bronchoscope

Correct answer: 4. Bronchoscope

Explanation: Ans. is 'd' i.e., Bronchoscope Endoscops are sterilized by chemical methods :? i) Rigid endoscope ---> Autoclave ii) Flexible endoscope --> Glutaraldehyde Bone & tissue graft, and cat gut suture are sterilized by ionizing radiation ('y - rays)